Atopic dermatitis is diagnosed by –
1. Patch test
2. Wood lamp
3. Clinical examination
4. IgE

Correct answer: 3. Clinical examination

Explanation: Diagnosis of atopic dermatitis is largely clinical and is facilitated by using major and minor criteria.